Inflammatory lesions in all of the following areas make the superficial inguinal lymph nodes enlarged and tender, EXCEPT?
1. Lower part of Anal Canal
2. Big Toe
3. Spongy Urethra
4. Isthmus of Uterine Tube

Correct answer: 3. Spongy Urethra

Explanation: The lymphatics from the spongy urethra pass mostly to the deep inguinal lymph nodes, though the terminal portion drains into the superficial inguinal nodes. The lymphatics from the prostatic and membranous parts of the urethra drain mostly into the internal iliac nodes and partly to the external iliac nodes.